Risk factor for abruptio placentae are all except-
1. High birth order
2. Thrombophilia
3. Smoking
4. Cannabis abuse

Correct answer: 4. Cannabis abuse

Explanation: Ans. is 'd' i.e., Cannabis abuse Abruptio placentaeo It is one form antepartum hemorrhage where the bleeding occurs due to premature separation of normally situated placenta.o The prevalence is more with high birth order (5 or more)Advancing agePoor socio economic conditionMalnutrition and smokingo Hypertension in pregnancy is the most important predisposing factor.o Other predisposing conditions are :TraumaSudden uierine decompressionShort cordSupine hypotension syndromePlacental anamolySick placentaFolic acid deficiencyUterine factor - placenta over septate uterus or with submucosal fibroidTorsion of uterusCocaine abuseThrombophiliasPrior abruption